Which subtype of interstitial lung disease is seen in patients with Sjogren syndrome?
1. Usual interstitial pneumonia
2. Non-specific interstitial pneumonia
3. Acute interstitial pneumonia
4. Cryptogenic Organising pneumonia

Correct answer: 2. Non-specific interstitial pneumonia

Explanation: Fibrotic NSIP is the most common subtype of ILD seen in patients with Sjogren syndrome. NSIP is also the most common subtype of ILD seen in patients with connective tissue disorders. Usual interstitial pneumonitis is found in idiopathic pulmonary fibrosis. Cryptogenic organising pneumonia has unknown etiology. Acute interstitial pneumonitis/ Hamman rich syndrome presents as ARDS like illness. Arthritis/ arthralgia:- Most common extraglandular manifestation of Sjogren's.